Digestion of disaccharides occurs at ?
1. Mouth
2. Stomach
3. Small intestine
4. Large intestine

Correct answer: 3. Small intestine

Explanation: Ans. is 'c' i.e., Small intestine Digestion of disaccharides (maltose, sucrose and lactose) occurs by the enzymes present in brush border os small intestinal epithelial cells. Maltase (a-glucosidase) breaks 1: 4 linkages in maltose and maltotriose and releases glucose (two molecules of glucose from maltose and three molecules of glucose from maltotriose). Isomaltase (a-limit dextrinase) breaks 1 : 6 a linkages of alpha-limit dextrin and releases glucose. Isomaltase dextrinase) is the only enzyme that attacks 1 : 6a linkage. Sucrose is hydrolysed into fructose and glucose by sucrase (an enzyme present in brush border of intestinal epithelium). Lactose is hydrolysed into galactose and glucose by lactase ((3-glucosidase). Trehalase hydrolyzes trehelose (a 1:1 a - linked dimer of glucose) into two glucose molecules. Trehalose is found in mushrooms.